Drug of choice for trigeminal Neuralgia
1. Carbamazepine
2. Valproate
3. Diazepam
4. Phenytoin

Correct answer: 1. Carbamazepine